HMG-CoA can be directly converted to all except?
1. Acetoacetate
2. Acetyl-CoA
3. Mevalonate
4. Aceto-acetyl CoA

Correct answer: 4. Aceto-acetyl CoA

Explanation: Ans. is 'd' i.e., Aceto-acetyl CoA Acetoacetate & Acetyl - CoA are derived from HMG-CoA during ketogenesis by HMG-CoA lyase which breaks the HMG-CoA into acetoacetate and acetyl-CoA during ketogenesis.Mevalonate is formed directly from HMG-CoA in cholesterol synthesis.HMG-CoA is converted to mevalonate by HMG-CoA reductase, the key regulatory enzyme of cholesterol synthesis.